During 2nd year of life, an average child can grow ____________
1. 12-15cm
2. 20-25cm
3. 30-40cm
4. 40-50cm

Correct answer: 1. 12-15cm

Explanation: The infant measures approximately 50 cm at birth, 60 cm at 3 months, 65 cm at 6 months 70 cm at 9 months, 75 cm at 1 year and 90 cm at 2 years. A normal Indian child is 100 cm tall at the age of 4 years. Thereafter, the child gains about 6 cm in height every year, until the age of 12 years. After this, increments in height vary according to the age at the onset of puberty. There is a marked acceleration of the growth during puberty. Ref : Nelson paediatrics Table : 11-1